Most common sarcoma in a child is
1. Fibrosarcoma
2. Rhabdomyosarcoma
3. Leiom yo sarcoma
4. Liposarcoma

Correct answer: 2. Rhabdomyosarcoma

Explanation: Ans. is 'b' i.e., Rhabdomyosarcoma